APUD cells are seen in:
1. Bronchial adenoma
2. Bronchial carcinoid
3. Hepatic adenoma
4. Villous adenoma

Correct answer: 2. Bronchial carcinoid

Explanation: Bronchial carcinoid